Groove sign of greenbalt is seen in ?
1. LGV
2. Donovanosis
3. Chancroid
4. Genital Herpes

Correct answer: 1. LGV

Explanation: Ans. is 'a' i.e., LGV Groove sign of Greenblatt' is pathognomonic of LGV when inguinal lymph nodes are enlarged, they are separated by Poupart's ligment, producing a groove.